Antitubercular drug which DOES NOT cross blood-brain barrier is :
1. Streptomycin
2. INH
3. Rifampicin
4. Pyrazinamide

Correct answer: 1. Streptomycin

Explanation: Streptomycin and ethambutol do not cross blood-brain barrier whereas INH and pyrazinamide have maximum CNS penetration.